Vaginal epithelium is a derivative of-
1. Mesoderm of urogenital sinus
2. Endoderm of urogenital sinus
3. Mesoderm of genital ridge
4. Endoderm of genital ridge

Correct answer: 2. Endoderm of urogenital sinus

Explanation: Ans. B. Endoderm of urogenital sinusDevelopment of Vaginaa. Shortly after the solid tip of the paramesonephric ducts reaches the urogenital sinus, two solid evagination grow out from the pelvic part of the sinus.b. These evagination, the sinovaginal bulbs, proliferate and form a solid vaginal plate. Proliferation continues at the cranial end of the plate, increasing the distance between the uterus and the urogenital sinus. By the fifth month, the vaginal outgrowth is entirely canalized.c. The wing-like expansions of the vagina around the end of the uterus, the vaginal Fornices, are of paramesonephric origin, the vagina has a dual origin, with the upper portion derived from the uterine canal and the lower portion derived from the urogenital sinus.d. The epidermis of vagina develops exclusively from the urogenital sinus. The lumen of the vagina remains separated from that of the urogenital sinus by a thin tissue plate, the hymen, which consists of the epithelial lining of the sinus and a thin layer of vaginal cells. It usually develops a small opening during perinatal life